Arsenic is used in the management of:
1. Acute promyelocytic leukemia
2. ALL
3. CML
4. Transient myeloproliferative disorder

Correct answer: 1. Acute promyelocytic leukemia

Explanation: - Arsenic trioxide can be used for treatment of resistant cases of Acute promyelocytic leukemia (AML M3). MANAGEMENT OF AML: Ara C (Cytosine Arabinoside) Anthracyclines (Doxorubicin) For M3 AML: ATRA (All Trans Retinoic Acid) Arsenic